A radiolucency seen between the maxillary central incisors is most commonly due to:
1. Periapical cyst
2. Nasopalatine cyst
3. Globulomaxillary cyst
4. Nasoalveolar cyst

Correct answer: 2. Nasopalatine cyst